Purine metabolism produces -
1. b-alanine
2. NH3
3. CO2
4. Uric acid

Correct answer: 4. Uric acid

Explanation: Ans. is 'd' i.e., Uric acid o Humans catabolize purines (adenine and guanine) to uric acid.o Humans catabolize purines to uric acid.o But, first purines are catabolized to xanthine, which is further catabolized to purine.o In mammals other than higher primates (in non primate mammals), uric acid is converted to water soluble abandon by enzyme 'uncase'. However, human lack uricase, therefore the end product of purine catablism is uric acid, which is excreted.